True about marjolins ulcer is -
1. Ulcer over scar
2. Rapid growth
3. Rodent ulcer
4. Painful

Correct answer: 1. Ulcer over scar

Explanation: Answer is 'a' i.e. Ulcer over scar